Gutter fracture is due to:
1. Oblique bullet wound
2. Fall from height
3. Sharp weapon
4. Osteoporosis

Correct answer: 1. Oblique bullet wound

Explanation: Oblique bullet wound